Which of the following autoantibodies is most suggestive of subacute cutaneous lupus erythematosus?
1. anti ds DNA
2. anti Ro
3. anti La
4. U1 RNP

Correct answer: 2. anti Ro

Explanation: Antibodies to the Ro/SS-A antigen are usually always found in SCLE. NB: anti ds DNA- SLE, anti La - Rowell's & Sjogren's syndrome, U1RNP- mixed connective disease Ref: Rook's textbook of dermatology, Edition-8, Page-51.22.